Rossette shaped cataract is seen in ?
1. Congenital rubella
2. Blunt trauma to eye
3. Wilson's disease
4. Diabetes mellitus

Correct answer: 2. Blunt trauma to eye

Explanation: Ans. is 'b' i.e., Blunt trauma to eye